Most commonly performed shunt for hydrocephalus is:
1. Ventriculoperitoneal
2. Ventriculopericardial
3. Ventriculopleural
4. Lumboperitoneal

Correct answer: 1. Ventriculoperitoneal

Explanation: Most common shunt used for hydrocephalus is ventriculoperitoneal shunt. "Therapy for hydrocephalus depends on the cause. Medical management, including the use of acetazolamide and furosemide, can provide temporary relief by reducing the rate of CSF production, but long-term results have been dissapointing. Most cases of hydrocephalus require extracranial shunts, particularly a ventriculoperitoneal shunt. Endoscopic third ventriculostomy(ETV) has evolved as a viable approach and criteria have been developed for its use, but the procedure might need to be repeated to be effective" Ref: Bailey 27th edition Pgno: 653